A patient Vipin has been taking digoxin for several years and is about to receive atropine for some other indication. A common side effect of digoxin that can be blocked by atropine is:
1. Decreased appetite
2. Increased cardiac contractility
3. Increased PR interval on the ECG
4. tachycardia

Correct answer: 3. Increased PR interval on the ECG

Explanation: Ref-KDT 6/e p494 Digtalis possesses vagomimetic action and can cuse bradycardia and decreased av conduction. This latter effect is mannitested in the ECG as increased PR interval. Atropine can block this adverse effet.